Most common type of shoulder dislocation is:
1. Posterior
2. Anterior
3. Inferior
4. Superior

Correct answer: 2. Anterior

Explanation: Ans. B: AnteriorShoulder joint is the commonest joint in the body to dislocateAnterior shoulder dislocation is much more common than posterior dislocationShoulder dislocation:MC joint to dislocate in body: ShoulderMC type of shoulder dislocation: Subcoracoid/ inferiorRarest type of shoulder dislocation: PosteriorPosterior type of shoulder dislocation is associated with: Epileptic fitsBanka's lesion is related with avulsion of glenoidal labrumHill Sach's lesion is found on humeral headTest for dislocation of shoulder joint:- Duga's test,- Hamilton ruler test,- Callaways testKocher's manouevre is done to reduce a dislocated shoulder